Usage of female undergarments for sexual gratification is seen in
1. Undinism
2. Frotteurism
3. Fetichism
4. Transvestism

Correct answer: 3. Fetichism

Explanation: Fetichism Fetish is an object for sexual stimulation. Fetichism means using these objects for sexual gratification. It is usually seen in males and they use the undergarments like bras, petticoat, stocking, panty hose,etc. of the females as an object for sexual stimulation. Person with this perversion may steal these objects for the above purpose. Ref: FORENSIC MEDICINE AND TOXICOLOGY Dr PC IGNATIUS THIRD EDITION PAGE 312